Which of the following is situated in the upper part of Crista terminaiis -
1. AV node
2. Bundle of his
3. Right Bundle branch
4. SA node

Correct answer: 4. SA node

Explanation: Ans. is 'd' i.e., SA node Conducting systemLocation in heartSA nodeUpper end of crista terminal is, near opening of SVCAV nodeTriangle of Koch's (near interatrial septum )Bundle of hisMembranous part of interventricular septumRBBRight surface of interventricular septumLBBLeft surface of interventricular septum